In Fanconi Anaemia:
1. Autosomal dominant
2. Chromosomal breakage studies by DEB and Mitomycin C
3. Commonly occurs in old age
4. Hypercellular Marrow

Correct answer: 2. Chromosomal breakage studies by DEB and Mitomycin C

Explanation: Fanconi Anemia Autosomal recessive Short stature, microcephaly, microphthalmia, microstomia, Renal aplasia, cafe au lait spots, Generalised hyperpigmentation of skin, Intellectual disability and hypoplasia of thumbs and of radii. Hypoplastic anaemia Increased susceptibility to spontaneous chromosomal breakage. Screening test is chromosomal breakage test -(Incubation of peripheral blood lymphocytes with diepoxybutane or mitomycin causes chromosomal breaks which can be seen on karyotyping). Definitive diagnosis is made by mutation analysis.